Incest is:
1. Intercourse with blood relation
2. Intercourse with children
3. Intercourse with friends
4. Intercourse with a married woman

Correct answer: 1. Intercourse with blood relation

Explanation: Intercourse within blood relation Incest Intercourse with children Pedophilia Intercourse with a married woman, other than his spouse Adultery Intercourse with lower animal Bestiality Female homosexuals Tribadism/ lesbianism Adultery- not liable for criminal prosecution but can be used as a ground for divorce or dissolution of marriage